Joint LEAST involved in primary osteoarthritis:
1. Hip
2. Trapezio-metacarpal
3. Knee
4. Coraco-clavicular

Correct answer: 4. Coraco-clavicular

Explanation: Ans. D i.e. Coracoclavicular Osteoarthritis Usually OA involves: - Hip, - Knee Does not affect MCP joint Interphalangeal joints & nodes: - DIP - Heberdens node; PIP - Bouchard nodes X-ray shows: Osteophyte formation, narrowing of joint space etc.